Following surgical removal of a firm nodular swelling in the right breast and exploration of the right axilla, on examination the patient was found to have a winged right scapula. Most likely this could have occurred due to injury to the
1. Subscapular muscle
2. Coracoid process of scapula
3. Long thoracic nerve
4. Circumflex scapular artery

Correct answer: 3. Long thoracic nerve

Explanation: C. i.e. Long thoracic nerve